Lumbar sympathectomy is not indicated in -
1. Healing of ulcer over great toe
2. Claudication
3. Rest pain
4. Buerger's disease

Correct answer: 2. Claudication

Explanation: Claudication is managed by conservative means: such as stoppage of smoking, diet, managing lipid abnormalities, excercises. Moreover sympathectomy is not very effective in claudication.
S.Das, 3/e writes about sympathectomy —"Though this operation is not very effective in claudication, yet it has some beneficial role in cases of rest pain and minor ulceration of the toes and fingers."